Alpha waves are typically seen in which of the following states:
1. Deep sleep
2. Relaxed awake
3. Awake alert
4. Highly focused

Correct answer: 2. Relaxed awake

Explanation: Alpha waves are typically seen in a relaxed yet awake state. Alpha waves are one type of brain waves detected either by electroencephalography (EEG) that predominantly originate from the occipital lobe during wakeful relaxation with closed eyes. Alpha waves are reduced when eyes are opened (patient becomes alert : transition to Beta waves) or when patient drifts into sleep (Transition to Theta waves) Waves State Associated states Gamma waves Frequency: 32-100 Hz Conscious, Highly focused Heightened perception, Heightened learning & problem-solving tasks Beta waves Frequency: 13-32 Hz (Fast Dyschronous Activity) Conscious alert Active thinking (Active conversation; Making decisions; solving a problem; Focusing on a task; Learning a new concept Alpha Waves Frequency: 8-13 Hz (Synchronous Activity) Conscious Relaxed (Relaxed Awake with eyes closed) Physically and mentally relaxed They become detectable when the eyes are closed and the mind is relaxed They may also often be going during activities such as Yoga; mild meditation and visualisation Theta waves Frequency: 4-8 Hz (Slow rhythmic Activity) Reduced Consciousness Creativity, insight, dreams, reduced consciousness Most frequently, Theta waves are strongly detectable when we're dreaming in our sleep Deep Meditation and Dreaming Also in Day-dreaming Seen in Stage-1 NREM sleep Seen in REM sleep (Dreaming) Humans aroused at a time when they show the EEG characteristics of REM sleep generally report that they were dreaming Delta waves Frequency : 0.5-4 Hz (Large Rhythmic Activity) Unconscious state Deep sleep (Dreamless) These are the slowest of all brain waves, and are strongest when we are enjoying restorative sleep in a dreamless state. Typically seen in NREM Sleep stage III and IV Ref: Guton and Hall 25th edition